Inhibits mitosis by forming microtubules -
1. Vinca alkaloids
2. Docetaxel
3. Etoposide
4. Colchicine

Correct answer: 2. Docetaxel

Explanation: Ans. is 'b' i.e., Docetaxel Taxanes (Paclitaxel and Docetaxel) enhances polymerization of tubulin (a mechanism opposite to that of vinca alkaloids) --> the microtubules are stabilized and their depolymerization is prevented. Vinca alkaloids (vincristine, vinblastine) prevent polymerization and assembly of microtubules.